Relationship of neurovascular bundle from above downward in intercostal space -
1. Nerve -Artery - Vein
2. Artery - Nerve -Vein
3. Vein - Nerve - Artery
4. Vein -Artery - Nerve

Correct answer: 4. Vein -Artery - Nerve

Explanation: Ans. is'd' i.e., Vein - Artery - Nerveo All intercostal muscles are supplied by the intercostal nerves of the spaces in which they lie.o The neurovascular plane of thorax lies between internal intercostal and intercostalis initimi or innermost intercostal (transversus thoracis).o Neurovascular bundle lies in costal groove and the relationship from above downw ard is posterior intercostal vein and artery and intercostal nerve (VAN).